Statistical method of calculate_ death rate among two population with different age groups?
1. Crude death rate
2. Standardized death rate
3. Case fatality rate
4. Age specific death rate

Correct answer: 2. Standardized death rate

Explanation: Ans. is 'b' i.e., Standardized death rate o Age adjustment or age standardization removes the confounding effect of different age structures of two different population and yields a single standardized rate, by which the mortality experience can be compared directly.